Ion ligand receptors are
1. Glycine receptor
2. b adrenergic receptors
3. V1 receptor
4. Insulin receptor

Correct answer: 1. Glycine receptor

Explanation: LikeGABA, glycine acts by increasing Cl- conductance.The ionotropic receptors of glutamate are ligand-gated ion channels that resemble nicotinic cholinergic receptors and GABA and glycine receptors. Catecholamines acting on b adrenergic receptors use cAMP mechanism.